Intercourse in closely related individual in blood relation
1. Marital rape
2. Incest
3. Adultery
4. Bestality

Correct answer: 2. Incest

Explanation: Ans. is 'b' i.e.,Incest * Incest means sexual intercourse by a man with a woman who is closely related to him by blood (prohibited degrees of relationship).* Example daughter, granddaughter, sister, stepsister, aunt, or mother.